Which of the following is NOT associated with elevation of prostatic specific antigen?
1. Acute prostatitis
2. BPH
3. Prostatic intraepithelial neoplasm
4. Prostatic needle biopsy

Correct answer: 3. Prostatic intraepithelial neoplasm

Explanation: Prostatic Intraepithelial Neoplasia ( PIN) is a precancerous condition; not detected by rectal examination, TRUS , or MRI; does not cause rise in PSA level . It is usually identified after TURP for BPH with final histology or by prostatic biopsy.Reference: page1048 SRB's manual of surgery 5th edition